which of the following is false regarding SPARE RECEPTOR ?
1. they are needed for binding drug to achieve the maximum effect
2. they respond to agonists only
3. they do not alter maximal efficacy
4. can be detected by finding that EC 50 < Kd for the agonist

Correct answer: 1. they are needed for binding drug to achieve the maximum effect

Explanation: SPARE RECEPTORS they are NOT needed for binding drug to achieve the maximum effect they respond to agonists only they do not alter maximal efficacy can be detected by finding that EC 50 < Kd for the agonist REF : KD TRIPATHI 8TH ED